Hepatotoxic drug used in tuberculosis is ?
1. Isoniazid
2. Streptomycin
3. Kanamycin
4. Ethambutol

Correct answer: 1. Isoniazid

Explanation: Ans. is 'a' i.e., Isoniazid